Which of the following is not a prodrug:
1. Lisinopril
2. Methyldopa
3. Enalapril
4. None of the above

Correct answer: 1. Lisinopril

Explanation: Lisinopril